All of the following are true about ear ossicles except
1. Give the eardrum mechanical advantage lever action
2. Transmit vibrations from tympanic membrane to inner ear
3. The muscles are highly developed like in bats for echolocation
4. Are controlled by muscles as part of the accoustic reflex

Correct answer: 3. The muscles are highly developed like in bats for echolocation

Explanation: Middle ear transmits sound waves from the external ear to internal ear through the chain of ear ossicles and thus transforms the air-borne vibrations from the tympanic membrane to liquid-borne vibrations in the internal ear The intensity of the soundwaves is increased ten times by the ossicles.It may be noted that the frequency of sound does not change. Ref BDC volume 3,6th edition pg 281